Most common cause of mediastinitis is :
1. Tracheal rupture
2. Esophageal rupture
3. Drugs
4. Idiopathic

Correct answer: 2. Esophageal rupture

Explanation: Most cases of acute mediastinitis either are due to esophageal perforation or occur after median sternotomy for cardiac surgery. Ref Harrison 19th edition pg 1719